A 10-yr-old boy presented with painful boggy swelling of scalp, multiple sinuses with purulent discharge, easily pluckable hair, and lymph nodes enlarged in occipital region. Which one of the following would be most helpful for diagnostic evaluation?
1. Biopsy
2. Bacterial culture
3. KOH mount
4. Patch test

Correct answer: 3. KOH mount

Explanation: Kerion is variant pf tinea capitis Kerion is characterized by - Alopecia, A tender or painful boggy scalp, Purulent drainage, and Localized lymphadenopathy. Causative agent: T.mentagryophyte and T. verrucosum. Dermatophytid reactionis an inflammatory reaction todermatophytosisat acutaneous site distant from the primary infection, seen sometimes with kerion Diagnosis is made by KOH mount. KOH mount: Woods lamp: Green florescence